A patient presented with the complains of abdominal pain, vomitingand fatty stools. On further questioning, the patient told that he was taking a drug since past few days. A diagnosis of Biliary sludge syndrome was made. Which of the following is the most likely drug involved?
1. Ceftazidime
2. Ampicillin
3. Rifampicin
4. Ceftriaxone

Correct answer: 4. Ceftriaxone

Explanation: Gentamicin is an aminoglycoside and is excreted renal route. BILE secreted anti-microbial agents CEF in - Cefoperazone, Ceftriaxone R - Rifampicin E - Erythromycin N - Nafcillin A - Ampicillin L - Lincosamides (Clindamycin) DISEASE - Doxycycline ceftriaxonecan precipitate with calcium, like what occurs with bilirubin, and soceftriaxone-associatedbiliary sludgeis mainly composed of a calcium-ceftriaxonecomplex.